Onion peel appearance is more characteristic of
1. Osteosarcoma
2. Osteoclastoma
3. Ewings sarcoma
4. Metastasis

Correct answer: 3. Ewings sarcoma

Explanation: Onion peel appearance is a periosteal reaction more characteristic of Ewing's sarcoma.